Major clinical use of nimodipine is in:
1. Raynaud's phenomenon
2. Hypertension
3. Angina
4. Subarachnoid haemorrhage

Correct answer: 4. Subarachnoid haemorrhage

Explanation: Nimodipine:  
It is a short-acting DHP which penetrates blood-brain barrier very efficiently due to high lipid solubility and has high affinity for the cerebral blood vessels. 
It is believed to selectively relax cerebral vasculature and is approved for prevention and treatment of neurological deficit due to cerebral vasospasm following subarachnoid haemorrhage or ruptured congenital intracranial aneurysms. 
Side effects are headache, flushing, dizziness, palpitation and nausea. 
Reference: Essentials of Medical Pharmacology Eighth Edition KD  TRIPATHI  page no 596